Bankart's lesion is seen at:
1. Posterior surface of glenoid labrum
2. Anterior surface of glenoid labrum
3. Anterior part of head of humerus
4. Posterior part of head of humerus

Correct answer: 2. Anterior surface of glenoid labrum

Explanation: Bankart's lesion refers to avulsion of the anterior rim of the glenoid labrum along with the periosteum from the anterior surface of glenoid and neck of scapula. Bankart's lesion and Hill Sachs lesion are two pathologic changes which occur in subcoracoid anterior shoulder dislocation. Hill Sach's lesion: When the humeral head dislocates anteriorly it comes to lie in front of scapular neck and impinges against the anterior edge of glenoid. This consequently result in formation of a dent on the head of humerus in the posterolateral quadrant and is known as Hills lesion. Ref: Textbook Of Orthopaedics By Kotwal page 222.